Which amongst the following statements are true regarding Acute Fatty liver of Pregnancy?
1. Occurs due to LCHAD deficiency (long-chain hydroxyl acyl coenzyme A dehydrogenase)
2. Macrovascular steatosis with periportal sparing
3. Increase in fibrinogen, ammonia and SGOT
4. Most of the cases are asymptomatic

Correct answer: 1. Occurs due to LCHAD deficiency (long-chain hydroxyl acyl coenzyme A dehydrogenase)

Explanation: Acute Fatty liver of Pregnancy = Acute Metamorphosis = Acute yellow Atrophy Abnormal fatty acid oxidation LCHAD deficiency present in foetus.(long-chain hydroxyl acyl coenzyme A dehydrogenase) Microvascular steatosis with periportal sparing Greasy soft yellow liver Complications--hypoglycaemia, hepatic encephalopathy, coagulopathy, renal failure, mortality (10-75%), and increased risk of PIH. Treatment--fresh frozen plasma, cryoprecipitate, platelets, and blood.